Hyoid bone develops from:
1. I and II branchial arches
2. II and III branchial arches
3. III and IV branchial arches
4. I and III branchial arches

Correct answer: 2. II and III branchial arches